Egg on side appearance of heart is seen in the radiograph of?
1. TAPVC
2. TGA
3. ASD
4. VSD

Correct answer: 2. TGA

Explanation: Ans. (b) TGARef: Sutton 7thed different pages. Pediatrics Radiology: The Requisites by Johan G. Blickman, Bruce R. Parker; M.D. Patrick D. Barnes p-52